In walking, gravity tends to tilt pelvis and trunk to the unsupported side, major factor in preventing this unwanted movement is:
1. Adductor muscles
2. Quadriceps
3. Gluteus maximus
4. Gluteus medius and minimus

Correct answer: 4. Gluteus medius and minimus

Explanation: Gluteus medius and minimus